What is the treatment of choice for benign tertian malaria ?
1. Sulfamethoxazole - pyrimethamine
2. Quinine
3. Mefloquine
4. Chloroquine

Correct answer: 4. Chloroquine